Syringes and glass ware are sterilized by:
1. Irradiation
2. Autoclave
3. Hot air owen
4. Cidex

Correct answer: 3. Hot air owen

Explanation: Hot air owen